CMV belongs to which family of DNA viruses ?
1. Poxviridae
2. Herpesviridae
3. Papovaviridae
4. Paravoviridae

Correct answer: 2. Herpesviridae

Explanation: Ans. is 'b' i.e., Herpesviridae